Japanese encephalitis is caused by-
1. Human retrovirus
2. Enterovinises
3. Arboviruses
4. Cytomegalovinis

Correct answer: 3. Arboviruses